According to Suraksha Clinic in National AIDS Control Program, infant coming with lower abdominal pain, the color code of kit in treatment is
1. White
2. Green
3. Yellow
4. Grey

Correct answer: 3. Yellow